A 65-year-old P3+0 female complains of procidentia. She has past history of MI and is diabetic and hypertensive. Ideal management of prolapse in the patient is
1. Cervicopexy
2. Vaginal hysterectomy
3. Wait and watch
4. Le forts repair

Correct answer: 4. Le forts repair

Explanation: Le fo&;rts repairReserved for elderly patients with an advanced prolapse or for those women who are medically unfit The procedure can be performed under sedation and local anesthesia or epidural anesthesiaProcedureThe flaps of the vagina from the anterior and posterior vaginal walls are excised and raw areas are opposed with catgut suturesThus a wide area of adhesion is created in the midline which prevents the uterus from prolapsing, the smaller tunnels on either side permitting the drainage of dischargeThis operation limits marital functions hence not adviced in women who are leading an active sexual lifeRef: Shaw's Textbook of Gynecology; 15th edition; Pg no: 341